Fracture seen in battered baby syndrome is called
1. Boxer's fracture
2. Greenstick fracture
3. Nobbing fracture
4. Jefferson's fracture

Correct answer: 3. Nobbing fracture

Explanation: In battered baby syndrome fracture of ribs close the spine may occur due to holding the baby by arms and squeezing from side to side. These are called nobbing fractures. ref: FORENSIC MEDICINE AND TOXICOLOGY Dr PC IGNATIUS THIRD EDITION PAGE 180